A patient in labor ward was given opioid analgesic. Which drug should be kept ready for emergency?
1. Naloxone
2. Lignocaine
3. Diphenhydramine
4. Fentanyl

Correct answer: 1. Naloxone

Explanation: ANS. A# Opioid antagonists1. Naloxone2. Natrexone3. Nalmefene# Clinical uses of Naloxone1. Drug of choice for morphine poisoning (0.4-0.8 mg IV every 2-3 min; max 10 mg)2. To reverse the respiratory depression due to intraoperative use of opioids3. Diagnosis of opioid dependence4. Partially reverses alcohol intoxication